Intense nihilism, somatization and agitation in old age are the hallmark symptoms of -
1. Involutional melancholia
2. Atypical depression
3. Somatized depression
4. Depressive stupor

Correct answer: 1. Involutional melancholia

Explanation: Involutional melanocholia has following featurs

i)    Involutional (old) age group
ii) Melanocholia (multiple somatic symptoms → somatization)
iii) Psychomotor agitation / Retardation
iv) Psychotic features (delusion of nilism, guilt, perseution, Hypochondriacal; Hallucinations).

Atypical depression is characterized by increased appetite / increased weight, increased sleep (hypersomnia), Lethargy, Rejection sensitivity.
For somatized depression see a previous explanation.
Depressive stupor occurs in the severe depression where the person is akinetic (immobile) and mute.